In the first trimester screening for Down syndrome which of the following test is to be done?
1. Beta HCG, PAPPA
2. MSAFP, PAPPA
3. Inhibin, PAPPA
4. Unconjugated Estriol, PAPPAs

Correct answer: 1. Beta HCG, PAPPA

Explanation: a. Beta HCG, PAPPA(Ref: Nelson's 20/e p 610-615)Methods for Antenatal Screening for Down Syndrome - In 1st Trimester pg 79Screening methodDetection rateMaternal age + Biochemical markers (b-hCG, PAPPA)Q70%Maternal age + Radiology (USG- NT>3mm)80%-83%Combined test: Mat. Age + Radiology (USG-NT>3mm)82%-87%*PAPPA is Pregnancy Associated Plasma Protein A